Perihilar fluffy opacities on chest X-ray is seen in:
1. Pulmonary embolism
2. Pericardial effusion
3. Pulmonary arterial hypertension
4. Pulmonary venous hypertension

Correct answer: 4. Pulmonary venous hypertension

Explanation: Ans. Pulmonary venous hypertension